Drug used in hepatic encephalopathy is:
1. Magnesium sulphate
2. Lactulose
3. Bisacodyl
4. Bisphosphonates

Correct answer: 2. Lactulose

Explanation: Lactulose is a laxative that acts by conversion to short chain fatty acids in the colon. These fatty acids resulrs in decrese in PH of intestinal juice. At low PH ammonia becomes ionized and thus cannot be absorbed.